Nonspecilic biochemical mediators are
1. pyruvic acid, prostaglandins, and aspartic acid.
2. arachidonic acid and the complement system.
3. histamine, bradykinin, prostaglandins, and leukotriencs.
4. arachidonic acid and serotonin.

Correct answer: 3. histamine, bradykinin, prostaglandins, and leukotriencs.

Explanation: Major mediators in inflammation